Succinylcholine is a/an
1. Intravenous anaesthetic agent
2. Non-depolarizing muscle relaxant
3. Short - acting narcotic
4. None of the above

Correct answer: 4. None of the above